A patient was brought to the hospital with a history of RTA eight hours back. A few drops of blood is noted at the external urethral meatus. He has not passed urine and his bladder is palpable per abdomen. The probable diagnosis is :
1. Urethral injury
2. Rupture bladder
3. Urethral injury with extravasation of urine in the retroperitoneum
4. Anuria due to hypovolemia

Correct answer: 1. Urethral injury

Explanation: Ans. is 'a' i.e. Urethral injury Blood at urethral meatus and urine retention are suggestive of urethral injury.